In case of benign mixed parotid tumours T/t of choice is :
1. Superficial Parotidectomy
2. Total parotidectomy
3. Leave facial nerve and remove all gland
4. Radical Parotidectomy

Correct answer: 1. Superficial Parotidectomy

Explanation: Ans is 'a' ie Superficial parotidectomy Schwartz writes - "Treatment of benign neoplasms is surgical excision of the affected gland or, in the case of the parotid, excision of the superficial lobe with facial nerve dissection and preservation. The minimal surgical procedure for neoplasms of the parotid is superficial parotidectomy with preservation of the facial nerve. Shelling out' of the tumor mass is not recommended because of the risk of incomplete excision and tumor spillage."